Piebaldism refers to
1. Androgenic alopecia
2. Cicatricial alopecia
3. Association of depigmented patch with white forelock
4. None of the above

Correct answer: 3. Association of depigmented patch with white forelock

Explanation: Piebaldism is an uncommon congenital autosomal dominant, stable patterned leukoderma characterized by a frontal, median or paramedian depigmented patch with a white forelock. There are also macules with scattered hyperpigmented islets. Mutations in the KIT gene on chromosome 14 are the cause. IADVL textbook of dermatology, pigmentary disorders, page 742